Irreversible hearing loss caused by ?
1. Gentamycin
2. Clarithromycin
3. Both of the above
4. None of the above

Correct answer: 1. Gentamycin

Explanation: Ans. is 'a' i.e., GentamycinGentamycin is the most commonly used of the aminoglycosides. It produces vestibular toxicity and irreversible hearing loss.Clarithromycin is known to produce reversible hearing loss.